A post-kidney transplant client went to the health care facility to ask the nurse regarding vaccinations while on Tacrolimus (Prograf) a medication used to prevent organ rejection. Which of the following is an appropriate response of the nurse?
1. “Do not skip due doses of vaccination for this can help in your treatment”.
2. “You can have live vaccinations even without the approval of the physician”.
3. “Influenza can happen anytime, so a flu vaccine is a must.”
4. “Do not receive any live vaccinations while on this treatment”.

Correct answer: 4. “Do not receive any live vaccinations while on this treatment”.

Explanation: Tacrolimus may lower your body’s resistance and the vaccine may not work as well or the client may get the infection the vaccine is meant to prevent.